The antibiotic that may accentuate the neuromuscular blockade produces by d-tubocurarine is:
1. Penicillin G
2. Erythromycin
3. Streptomycin
4. Chloramphenicol

Correct answer: 3. Streptomycin

Explanation: Streptomycin inhibits acetylcholine release from the preganglionic terminal (through competition with  calcium) and reduces the post-junctional membrane sensitivity to acetylcholine, thus produce neuromuscular blockade. 
Tetracycline antibiotics chelate calcium thus produce neuromuscular blockade. 
Other antibiotics that have neuromuscular blocking action include polymyxin B, colistin, clindamycin and lincomycin through pre and postsynaptic actions. 
There are no reports of neuromuscular blockade produced by penicillin G, erythromycin and chloramphenicol.